The superior oblique muscle is supplied by
1. 3rd cranial nerve
2. 4th cranial nerve
3. 5th cranial nerve
4. 6th cranial nerve

Correct answer: 2. 4th cranial nerve

Explanation: Superior oblique muscle is supplied by fourth cranial nerve i.e,trochlear nerve. It supplies only the superior oblique muscle of the eyeball. Superior oblique muscle helps in depression,abduction and intortion. Note: When trochlear nerve is damaged, diplopia occur looking downwards; vision is single so long as the eye look above the horizontal plane. Ref:BDC 6th edition of no.208